False statement about Pseudomynoma peritonei is
1. More common in females
2. Locally malignant tumour
3. Chemotherapy has no role
4. Needs surgical debuting

Correct answer: 3. Chemotherapy has no role

Explanation: Chemotherapy has a role in the management of Psendomyxoma Peritonei.